FSH is secreted by :
1. Ovary
2. Hypothalamus
3. Anterior pituitary
4. Posterior pituitary

Correct answer: 3. Anterior pituitary

Explanation: Anterior pituitary